All of the following are morphological types of supernumerary teeth, except:
1. Conical
2. Supplemental
3. Heart shaped
4. Odontome

Correct answer: 3. Heart shaped

Explanation: Mesiodens' is the most common supernumerary teeth. It is a cone-shaped crown with a short root and is usually present between the two maxillary central incisors. The various morphological types of supernumerary teeth are:

Conical  
Supplemental 
Odontome

Ref: Shafer's textbook of oral pathology 7th edition page 48